If a drug is active against the pre-erythrocytic stage of the malarial parasite, it will be useful as:
1. Suppressive prophylactic
2. Causal prophylactic
3. Clinical curative
4. Radical curative

Correct answer: 2. Causal prophylactic